A 60years old diabetic male presented with rapidly spreading infection of the external auditory canal with the involvement of the bone and presence of granulation tissue. The drug of choice for this condition is all except
1. Ciprofloxacin
2. Penicillin
3. Third generation cephalosporins
4. Aminoglycosides

Correct answer: 2. Penicillin

Explanation: Malignant otitis externa is an inflammatory condition caused by Pseudomonas infection, usually in the elderly diabetics or in those on immunosuppressive drugs. There will be excruciating pain and granulations in the ear canal. Treatment consists of Control of diabetes. Toilet of the ear canal. Antibiotic treatment against the causative organism, Pseudomonas aeruginosa Gentamycin(Aminoglycosides) combined with Ticarcillin. Third generation cephalosporins; Ceftriaxone or Ceftazidime. Quinolones( Ciprofloxacin, Ofloxacin and Levofloxacin) (Ref: Textbook of diseases of ENT, PL Dhingra, 7th edition, pg no. 55)